All are synonyms for PM staining seen in dependant parts of the body during postmortem, except:
1. Cadaveric lividity
2. Suggilation
3. Livor mortis
4. Algor mortis

Correct answer: 4. Algor mortis

Explanation: Ans. Algor mortis